True about hyperkalemia -a) Stop heart in systoleb) Insulin-Glucose is givenc) Serum potassium more than 5.2 mmol/Ld) ECG changes correlates with serum potassium
1. c
2. d
3. bc
4. ac

Correct answer: 3. bc